Which of the following potentially represents the most dangerous situation?
1. Rh+ve mother with 2nd Rh-ve child
2. Rh-ve mother with 2nd Rh+ve child
3. Rh+ve mother with 1st Rh-ve child
4. Rh-ve mother with 1st Rh+ve child

Correct answer: 2. Rh-ve mother with 2nd Rh+ve child

Explanation: * Rh-ve mother with 2nd Rh+ve child can result in the development of hemolytic disease of newborn or erythroblastosis fetalis. So, it is a dangerous condition. * This condition is a type II hypersensitivity reaction. * This is Not to be confused with Hemorrhagic disease of the newborn which is a coagulation disturbance in the newborns due to vitamin K deficiency. As a consequence of vitamin K deficiency there is an impaired production of coagulation factors II, VII, IX, X, C and S by the liver.